Which of the following is NOT an adverse effect of heparin?
1. Bleeding
2. Thrombocytopenia
3. Hypokalemia
4. Osteoporosis

Correct answer: 3. Hypokalemia

Explanation: Heparin can inhibit the synthesis of aldosterone and may result in hyperkalemia..All the others are adverse effects of heparin. From medical pharmacology padmaja 4th edition Page no 336